Minimum thickness of lens capsule is found in
1. Pre equatorial area → 3-4  μm
2. posterior pole → 5-7  μm
3. Anterior pole → 5-7  μm
4. posterior pole → 3-4  μm

Correct answer: 4. posterior pole → 3-4  μm

Explanation: Minimum thickness of lens capsule is found in posterior pole ( 3-4  μm ).